Hemopexin binds ?
1. Heme
2. Hemoglobin
3. Iron
4. Bilirubin

Correct answer: 1. Heme

Explanation: Ans. is 'a' i.e.,Heme* Hemopexin is a glycoprotein which exhibits the highest affinity for free hemeHemopexin's function is to protect the cell and tissues from oxidative damage cause by heme. Because hemopexin does not only bind to free heme but also facilitate the uptake of heme into liver by binding to specific receptors on hepatocytes.Hence hemopexin helps in recycling iron and the iron stores are maintained. Hemopexin is also found to cause an upregulation of heme oxygenasel enzyme, thereby they facilitate the conversion of heme into bilirubin and biliverdin.